Omega shaped epiglottis is seen in?
1. Laryngomalacia
2. Epiglottitis
3. Tuberculosis
4. Carcinoma of epiglottis

Correct answer: 1. Laryngomalacia

Explanation: ANSWER: (A) LaryngomaiaciaREF: Dhingra 4th ed p.272In laryngomaiacia direct laryngoscopy shows elongated epiglottis, curled upon itself (omegashaped), floppy aryepiglottic folds and prominent arytenoids.Pediatric Epiglottis is omega-shaped and arytenoids relatively large covering significant portion of the posterior glottis.